The contrast in X-rays is dependent -
1. Kvp
2. Mas
3. Duration of exposure
4. Distance between source and object

Correct answer: 1. Kvp

Explanation: Kvp determines   →  Penetrating power of X-ray, contrast.
mAs determine   →  Number of X-ray photons, density of film (Blackening of film).